Which of the following is a set point framed for long-term plans but is yet something that cannot be quantified or measured?
1. Target
2. Goal
3. Objective
4. Mission

Correct answer: 2. Goal

Explanation: A goal is defined as the ultimate desired state towards which objectives and resources are directed.Goals are not constrained by time or existing resources, nor are they necessarily attainable.Goals formulated at the highest level are generally broad. Goals may not be strictly measurable or tangible. Usually, the time frame is Longer term.Park 23e pg: 868